A woman presenting with abrupt onset of "the worst headache of her life" Which is the best investigation?
1. NCCT of the head
2. Vessel carotid Doppler
3. No imaging
4. MRI

Correct answer: 1. NCCT of the head

Explanation: Ans. a. NCCT of the HeadPatients with severe, sudden onset of a first-time headache accompanied by strong evidence for an underlying cause on history or physical examination should have a NCCT scan of the head to rule out any secondary causes.